A boy comes with complains of vomiting, bloated abdomen and abdominal pain. He has a history of attending ice–cream eating competition last night. Ile also has a past history of similar episodes following ingestion of milk and milk products. The likely cause –
1. Pancreatic amylase deficiency
2. Lactase deficiency
3. Salivary amylase deficiency
4. Food poisoning

Correct answer: 2. Lactase deficiency

Explanation: History of ice cream ingestion and subsequent symptoms of vomiting, bloated abdomen, are characteristic findings of lactase deficiency.

Lactase deficiency -


Lactase is a disaccharidase present on intestinal epithelium (brush border)*. It is used to digest lactose (disaccharide).
Symptoms arise after ingestion of food containing lactose (e.g. milk).
Symptom - Diarrhoea, vomiting, bloated abdomen.

Diagnosis

Presence of more than 1/2 percent of reducing substrate in the fresh stool.

Acidic stools

Abnormal oral sugar tolerance test* (blood glucose rise of less than 20mg/d1 above fasting level with a disaccharide load of 2g/kg)
Breath H2 excretion of more than 11 ppm*.
Enzyme assay on mucosal biopsies showing low levels of disaccharidases.

Treatment -

low lactose diet.